Which is most commonly mutated gene in Surfactant Dysfunction Disorders:
1. Surfactant protein B
2. Surfactant protein C
3. GM-CSF
4. ATP-binding cassette protein member 3 (ABCA3)

Correct answer: 4. ATP-binding cassette protein member 3 (ABCA3)

Explanation: ATP-binding cassette protein member 3 (ABCA3) is the most frequently mutated gene in sufactant dysfunction disorders. It is an autosomal recessive disorder and usually presents in the first few months of life with rapidly progressive respiratory failure followed by death.